Increased serum acid phosphatase is a laboratory finding of:
1. Osteopetrosis
2. Hyperparathyroidism
3. Fibrous dysplasia
4. Scurvy

Correct answer: 1. Osteopetrosis